Breastfeeding must be initiated within:-
1. Half an hour
2. One hour
3. Two hour
4. Four hours

Correct answer: 2. One hour

Explanation: According to WHO guidelines, initiate breast feeding After a normal vaginal delivery: Within 1 hour After a cesarean section: Within 4 hours Current recommendation : Start breast feeding as early as possible ASAP. (Do not wait for 1 hour or 4 hours)